Hyperinflation of lungs is prevented by
1. Hering breuer reflex
2. Irritation reflex
3. Cushing reflex
4. Bainbridge reflex

Correct answer: 1. Hering breuer reflex

Explanation: The shortening of inspiration produced by vagal afferent activity is mediated by slowly adapting receptors, as are the Hering-Breuer reflexes. The Hering-Breuer inflation reflex is an increase in the duration of expiration produced by steady lung inflation, and the Hering-Breuer deflation reflex is a decrease in the duration of expiration produced by marked deflation of the lung. Because the rapidly adapting receptors are stimulated by chemicals such as histamine, they have been called irritant receptors. Activation of rapidly adapting receptors in the trachea causes coughing, bronchoconstriction, and mucus secretion, and activation of rapidly adapting receptors in the lung may produce hyperpnea.Ref: Ganong review of medical physiology 23rd edition Page no: 632